Not a complication of Hypertensive disorders of pregnancy -
1. Eclampsia
2. Pre-eclampsia
3. HELLP
4. Macrosomia

Correct answer: 4. Macrosomia

Explanation: Ans. is 'd' i.e., Macrosomia Complications of Hypertensive disorders of pregnancy Maternal complications Fetal complicationsPre eclampsia * Intrauterine deathEclampsia * Intrauterine growth restrictionCerebrovascular accidents (does not appear to be related to usually intracerebral hemorrhage the actual level of blood pressureAbruption placenta * Prematurity and its associatedHELLP (Hemolytic anemias, hazards (neonatal death, elevated liver enzymes, low pulmonary, renal and hepaticplatelets) dysfunction)Acute left ventricular failure * Antepartum and intrapartum with pulmonary edema asphyxia (more likely due toAcute renal failure anoxia associated with poorMicroangiopathic hemolytic placental blood flow, anemia (Hemolytic uremicsyndrome) the patient usually has evidence of severe widespread intravascular coagulation